Features of Alzheimer's disease are all except?
1. Narrowing of ventricles
2. Hirano bodies
3. amyloid
4. neuritic plaques

Correct answer: 1. Narrowing of ventricles

Explanation: Ans. (a) Narrowing of ventricles(Ref: Anderson 10th ed.2740, Ref: Robbins 9th/pg 1287-88; 8th/pg 1313)Compensatory ventricular enlargement due to extensive cortical atrophy is called hydrocephalus ex vacuo.This is seen in Alzheimer's and pick's disease.*The pathologic hallmark Q are plaques (both neuritic and senile) and tangles_ Option d is true*Vascular amyloid in cerebral amyloid angiopathy is Ab40-Option c is true*Hirano bodies Q and Granulovacuolar degeneration Q are other features seen in AD.-Option b is true